An example of a isotope that is predominantly a beta emitter is
1. 125 Iodine
2. 32 Phosphorus
3. 51 Chromium
4. 99m Technetium

Correct answer: 2. 32 Phosphorus